All are features of Wiskott Aldrich syndrome, EXCEPT:
1. Decreased IgM level
2. Elevated IgE level
3. Decreased IgA level
4. Decreased ratio of CD4 and CD8 cells

Correct answer: 3. Decreased IgA level

Explanation: Ans. is 'c' decreased IgA level Remember the Immunoglobulin level in Wiskott Aldrich syndrome IgM *- Decreased* IgA & IgG - Remains normal* IgE - Increased* Both B&T lymphocytes are normal in the beginning but in later stages, T cell deficiency occur* Other important facts about Wiskott Aldrich syndrome It is an x-linked disease* It is characterized by: Eczema* Thrombocytopenia* & Repeated infections*